Equlilibrium potential of resting membrane for a given electrolyte is given by
1. Nernst
2. Goldman
3. Faraday
4. Donnan-Gibbs

Correct answer: 1. Nernst

Explanation: Nernst equation gives equilibrium potential for a particular ion Goldman equation gives equilibrium potential for more than 1 ion Ref:Guyton and Hall textbook of medical physiology 12th edition,page number:58,59,60